Passive transfer of solvent occurs in
1. Diffusion
2. Active transport
3. Osmosis
4. Pinocytosis

Correct answer: 3. Osmosis

Explanation: Osmosis is the passive flow of the solvent into a region where there is a higher concentration of a solute to which the membrane is impermeable.(Ref: Textbook of physiology AK Jain 5th edition page no.14)